Disease to be screened should fulfil the following criteria except:-
1. There is an effective treatment
2. Prevalence should be high
3. The expected benefits of early detection exceed the risk and cost
4. There is a test that can detect the disease after the onset of signs and symptoms

Correct answer: 4. There is a test that can detect the disease after the onset of signs and symptoms

Explanation: Disease to be screened should fulfil the following criteria:- * Should be important public health problem. * Should be recognizable latent or early asymptomatic stage. * There is an effective treatment. * Prevalence should be high. * The expected benefits of early detection exceed the risk and cost. * There is a test that can detect the disease prior to the onset of signs and symptoms. * There is good evidence that early detection and treatment reduce morbidity and mortality. * Confirmatory diagnosis should be available.